The sodium gradient across the nerve cell membrane IS:
1. A result of the Donnan equilibrium
2. Significantly changed during an action potential
3. Used as a source of energy for the transport of other ions
4. An important determinant of the resting membrane potential

Correct answer: 3. Used as a source of energy for the transport of other ions

Explanation: The sodium- potassium pump uses the energy contained in ATP to maintain the sodium gradient across the membrane. The sodium gradient, in turn, is used to transport other substances across the membrane. For example, the NaCa exchanger uses the energy in the sodium gradient to help maintain the low intracellular calcium required for normal cell function. Although sodium enters the cell during an action potential, the quantity of sodium is so small that no significant change in intracellular sodium concentration occurs. Because the sodium transference is so low, the sodium equilibrium potential is not an important determinant of' the resting membrane potential.